Dermal Nitrate test is done for the detection of :
1. Gunpowder residue
2. Seminal stains
3. Blood stains
4. Saliva

Correct answer: 1. Gunpowder residue

Explanation: A i.e. Gun powder residue